Emporiatrics deals with the health of:
1. Farmers
2. Travellers
3. Industrial workers
4. Mine workers

Correct answer: 2. Travellers

Explanation: Travellers